Uveal effusion syndrome may be associated with all of the following, Except -
1. Myopia
2. Ciliochoroidal detachment
3. Structural defect in Sclera
4. Nanophthalmos

Correct answer: 1. Myopia

Explanation: Uveal effusion syndrome is a transudation of fluid from the vascular uvea with extravasation from the choriocapillaries into the suprachoroidal space and within the uveal tissues. May be assosiated with ciliochoroidal detachment, structural defect in sclera, nanophthalmos etc. Ref:Parsons' disease of the eye 22nd edition pg :254